The ability to detect two points simultaneously applied to the skin is based on which physiologic mechanism?
1. Presynaptic inhibition
2. Feed-back inhibition
3. Feed-forward inhibition
4. Lateral inhibition

Correct answer: 4. Lateral inhibition

Explanation: Lateral inhibition is the basis of ability to detect two points simultaneously applied to the skin. Every sensory pathway, when excited, gives rise simultaneously to lateral inhibitory signals; these inhibitory signals spread to the sides of the excitatory signal and inhibit adjacent neurons. Presynaptic inhibition: decrease release of excitatory neurotransmitter. Endogenous analgesia system Feed-forward inhibition: when excitatory neurons exciteinhibitorycells, which theninhibit a group of postsynaptic excitatory neurons. Seen in cerebellum (Cerebellar learning) Recurrent/Renshaw cell inhibition: Short inhibitory interneuron Collaterals excites renshaw cell which in turn inhibits the same neuron Purpose: delays muscle fatigue, sharpens the signal to muscle